Increased Serum Calcium and Decreased Serum PO4 may be seen in all of the following, except:
1. Primary hyperparathyroidism
2. Hypercalcemia of Malignancy
3. Vitamin D Intoxication
4. Familial benign Hypercalcemia

Correct answer: 3. Vitamin D Intoxication

Explanation: Answer is C (Vitamin D intoxication): Vitamin D Intoxication is not associated with decreased serum PO4 levels (Associated with normal or increased serum PO4) Primary Hyperparathyroidism, Familial Benign Hypercalcemia and hypercalcemia of malignancy may all be associated with increased serum calcium and decreased serum PO4. Vitamin D Intoxication is associated with increased serum calcium with normal or increased serum PO4